Aconite poisoning causes all except -
1. Hypesalivation
2. Tinglingand numbness
3. Increased BP
4. Chest pain

Correct answer: 3. Increased BP

Explanation: Clinical Features of Aconite * Nausea and vomiting * HyperSalivation * Tingling and numbness in mouth and lips * Diarrhea * Palpitation * Weakness * Hypotension * Ventricular ectopics,* Arrhythmias * Vertigo * Blurring of vision, hippus, mydriasis, xanthopsia * Convulsions REF;THE SYNOPSIS OF FORENSIC MEDICINE:KS NARAYANA REDDY;28th EDITION;PAGE NO 357